Corneal ulceration may be caused by injury to which cranial nerve:
1. Third
2. Fifth
3. Sixth
4. All of the above

Correct answer: 2. Fifth

Explanation: Ans. Fifth